Bi-zygomatic width divided by 16 gives approximate mesiodistal width of
1. Upper central incisor
2. Lower central incisor
3. Upper anterior teeth
4. Lower anterior teeth

Correct answer: 1. Upper central incisor